All of the following are prognostic factors of carcinoma endometrium, EXCEPT:
1. Pelvic node involvement
2. Deep myometrial involvement
3. Enlarged uterine cavity
4. Poor differentiation

Correct answer: 3. Enlarged uterine cavity

Explanation: Uterine size is not considered an independent prognostic factor. Prognostic Factors in Endometrial Cancer: Uterine Factors Extrauterine Factors Clinical and Genetic Factors Histologic subtype Lymph node metastasis Age Tumor grade Peritoneal fluid cytologic findings Hormone receptor status Lymphovascular space invasion Histologic cell type Ploidy Myometrial invasion MicrosatRellite instability Cervical extension Oncogenic influence Adnexal metastasis Ref: Suh G.K., Hennessy B.T., Markman M. (2011). Chapter 29. Tumors of the Uterine Corpus. In H.M. Kantarjian, R.A. Wolff, C.A. Koller (Eds), The MD Anderson Manual of Medical Oncology, 2e.